Most specific Antibodies for SLE are:
1. Anti-Ro
2. Anti-Jo
3. Anti-Sm
4. Anti-ds DNA

Correct answer: 3. Anti-Sm

Explanation: Answer is C (Anti Sm-Antibodies): Anti Smith Antibodies (Anti Sm) is found in 25 to 30% of SLE patients and is the most specific diagnostic test for SLE. - Interpretation of diagnostic tests 8th/1034 Anti Ds DNA is almost as specific as anti Sm antibodies but only when present in high titres. Most sensitive stest for SLE Anti nuclear antibodies Most specific test for SLE Anti Sm Antibody and Anti Ds DNA (Anti Sm Antibody > Anti Ds DNA) Anti Sm antibodies have high specificity for SLE but low sensitivity being found in < 30% of patients with SLE Anti Ds DNA is more sensitive than Anti Sm Antibodies being found in upto 70% of patients with SLE but it is almost equally specific than Anti Sm Antibodies when present in high titres. Low titres of Anti Ds DNA are less specific for SLE than low titres of Anti Sm Antibodies. Antibody Prevalence % Clinical Utility Anti-dsDNA 70 High titres are SLE specific In some patients correlate with disease activity, nephritis, vasculitis Anti-Sm 25 Specific for SLE No definite clinical correlations